EDTA was introduced in endodontics by
1. Nygaard otsby
2. Hoshino
3. Bakland
4. Barnum

Correct answer: 1. Nygaard otsby

Explanation: Nygaard otsby introduced EDTA. Barnum introduced Rubber Dam. Hoshino advocated the use of triple antibiotic paste